Which mosquito can fly the greatest distance -
1. Mansonia
2. Aedes
3. Anopheles
4. Culex

Correct answer: 4. Culex

Explanation: The flight range of different mosquitoes: Anopheles - 3 to 5 km Culex - 11 km Aedes - 100 m REFERENCE: PARK'S TEXTBOOK OF PREVENTIVE AND SOCIAL MEDICINE, 25TH EDITION, PG NO.